Enzyme(s) used in polymerase chain reaction is/are -
1. Restriction endonuclease
2. DNA polymerase
3. Alkaline phosphate
4. RNA polymerase

Correct answer: 2. DNA polymerase

Explanation: In PCR, heat stable DNA polymerase (Taq polymerase) is used.